Which is common metabolic process in human as well as bacteria:
1. Purine synthesis
2. Nitrogen fixation
3. Mucolipid formation
4. Nonoxidative photophosphorylation

Correct answer: 1. Purine synthesis

Explanation: A i.e.Purine synthesis